The indifferent embryo begins phenotypic sexual differentiation during
1. Week 3 of development
2. Week 5 of development
3. Week 7 of development
4. Week 12 of development

Correct answer: 3. Week 7 of development

Explanation: The embryo during weeks 1-6 remains in an undifferentiated stage. The embryo begins phenotypic sexual differentiation during week 7.